Alkaptonuria an inherited metabolic disorder is due to the deficiency of
1. Homogentisate oxidase
2. Cystathionase
3. Pheylalanine hydroxylase
4. Tyrosine transaminase

Correct answer: 1. Homogentisate oxidase